Which of the following drug possess similar cycloplegic action and is more potent mydriatic than atropine is:
1. Hyoscine.
2. Tropicamide.
3. Homatropine.
4. All of the above.

Correct answer: 1. Hyoscine.

Explanation: It's  duration of action is also long but less than the atropine.